Most common form of hyperthyroidism is
1. Toxic goiter
2. Grave’s disease
3. Thyrotoxicosis
4. All of the above

Correct answer: 2. Grave’s disease